A temporary, provisional view held by the people on a point of view is -
1. Opinion
2. Practice
3. Attitude
4. Belief

Correct answer: 1. Opinion

Explanation: - opinions are views held by people on a point of dispute. - they are based on the evidence available at a time Reference : Park's textbook of preventive and social medicine, 25th edition, pg no:732